Structures passing through middle part of superior orbital fissure
1. Trochlear nerve
2. Nasociliary nerve
3. Lacrimal nerve
4. Trigeminal nerve

Correct answer: 2. Nasociliary nerve

Explanation: superior orbital Lateral part: Lacrimal and frontal nerves, trochlear nerve, superior ophthalmic vein, meningeal branch of lacrimal artery, anastomotic branch of middle meningeal artery which anastomoses with recurrent branch of lacrimal artery middle part Upper and lower divisions of oculomotor nerve, nasociliary nerve, abducent nerve Medial part Inferior ophthalmic vein; sympathetic nerve from plexus around internal carotid artery Ref BDC volume 3;Sixth edition pg 56